The amount of sewage flowing in a system in 24 hrs is called:
1. Sewage rate
2. Dry weather flow
3. RCA index
4. Sludge

Correct answer: 2. Dry weather flow

Explanation: Sewage: is waste water from a community, containing solid and liquid excreta, derived from houses, street and yard washings, factories and industries Composition of sewage: 99.9% water + 0.1% solids (organic & inorganic) Dry weather flow : is the average amount of sewage that flows in sewerage system in 24 hrs Strengths of sewage is expressed in terms of: Biological oxygen demand (BOD), Chemical oxygen demand (COD), Suspended solids.